Which of the following is not true in vitamin B9 deficiency
1. Vitamin B9 is stored in liver for 3 - 4 months
2. Deficiency manifests as increased homocysteine and normal methylmalonic acid levels.
3. Deficiency manifests as increase in both homocysteine and methylmalonic acid levels.
4. Phenytoin intake can cause deficiency state of Vitamin B9

Correct answer: 3. Deficiency manifests as increase in both homocysteine and methylmalonic acid levels.

Explanation: Vitamin B9 (folic acid) deficiency result in increased homocysteine level but methylmalonic acid level will be normal.